Conjunctival follicle in trachoma will show
1. Plasma cell
2. Epithelioid cells
3. Lymphocytes
4. Mast cells

Correct answer: 3. Lymphocytes

Explanation: Lymphoid follicles on the palpebral conjunctiva of the uppereyelid.